Road to health card' top line is -
1. 3rd percentile
2. 50th percentile
3. 80th percentile
4. 97th percentile

Correct answer: 2. 50th percentile

Explanation: Road to health card top line indicates 50 percentile. REF. PARK'S TEXTBOOK OF PREVENTIVE AND SOCIAL MEDICAL 21ST EDITION. PAGE NO - 502